Total lung capacity is not increased in
1. Asthma
2. Acromegaly
3. Emphysema
4. Interstitial lung disease

Correct answer: 4. Interstitial lung disease

Explanation: Ans: d (ILD)Ref: Harrison, 17th ed. pg. 1646ILD is a restrictive lung disease characterized by decrease in both total lung capacity as well as residual volume.ParameterObstructive lung diseaseRestrictive lung diseaseTotal lung capacityNormal to IncreaseDecreasesResidual volume VitalIncreasesDecreasescapacity FEV,/FVCDecreasesDecreases(FEV%) FEF 25-75%DecreasesNormal to(Forced expiratory flowDecreases NormalIncreaserate) Diffusion capacity(Decrease in emphysema)Normal DecreasedOut of the four options given, shigellosis is the single best answer of exclusion:Shigellosis clinical manifestations:* Incubation period 1 - 4 days* Diarrhoeal phase - fever, vomiting, tenesmus, watery diarrhoea* Dysenteric phase - small volume bloody mucopurulent stools , acute colitis* Post infectious phaseComplications:* Intestinal - toxic megacolon, intestinal perforation, rectal prolapsed* Metabolic - dehydration, hyponatraemia, hypoglycaemia* HUS - ARF occurs in 55-70 % cases* Ekiri syndrome - toxic encephalopathy associated with abnormal posturing, cerebral oedema, fatty degeneration of viscera, in Japanese children.* Reiter's syndromeBridge:* Shiga toxin by shigella dystentriae type 1 causes HUS* Shigella flexneri causes Reiter's syndromePlease go through Table viral haemorrhagic fevers in Davidson pg. 230 and make your facts clear.Viral fevers with hepatorenal dysfunction:1. Yellow fever2. Dengue fever3. Ebola fever4. Crimean congo haemorrhagic fever5. Hantaan feverPlasmodium falciparum clinical features :Neuro - Coma, seizure, opisthotonus, cranial nerve palsies CVS - Shock , cardiac failure (algid malaria )Renal - ARF, haemoglobinuria Liver - Jaundice, hepatitis Resp - Pulmonary edema